Multiplying factor for estimating stature from humerus is (male) -
1. 10-12.
2. 5-6.
3. 7-9.
4. 9-10.

Correct answer: 2. 5-6.

Explanation: As a general rule humerus is 20%, tibia is 22%, femur is 27% and spine is 35% of individual height.